Acute pseudo-obstruction of the colon known as:
1. Sjogren's syndrome
2. Gardener's syndrome
3. Ogilvie's syndrome
4. Peutz-Jegher's syndrome

Correct answer: 3. Ogilvie's syndrome

Explanation: COLONIC PSEUDO-OBSTRUCTION - Colonic pseudo-obstruction (Ogilvie's syndrome) is a functional disorder in which the colon becomes massively dilated in the absence of mechanical obstruction. - Pseudo-obstruction most commonly occurs in hospitalized patients and is associated with the use of narcotics, bed rest, and comorbid disease. - The diagnosis is made based on the presence of massive dilatation of the colon (usually predominantly the right and transverse colon) in the absence of a mechanical obstruction. - Initial treatment consists of cessation of narcotics, anticholinergics, or other medications that may contribute to ileus. Strict bowel rest and intravenous hydration are crucial.